Hailey-hailey disease is
1. Pemphigus
2. Lyell's syndrome
3. Benign familial chronic pemphigus
4. Pemphigus acutus

Correct answer: 3. Benign familial chronic pemphigus

Explanation: Hailey hailey disease/ benign familial pemphigus Benign familial pemphigus (Hailey-Hailey disease) is a rare autosomal dominant disorder characterized by development of recurrent blisters, erosions, and crustations in the intertrigenous areas. Mutations in ATP2C1 gene, which encodes the human secretary pathway Cart 2+ /Mn 2+ ATPase protein 1 (HSPCA) have been observed to be responsible for Hailey-Hailey disease Various treatment options include topical or systemic antibiotics, antifungals, corticosteroids in early stages, and dapsone, PUVA, systemic retinoids, cyclosporine, methotrexate, and photodynamic therapy for the recalcitrant cases Iadvl textbook of dermatology page 1099